Best for treatment of multi-focal atrial tachycardia is?
1. DC shock
2. Amiodarone
3. Verapamil
4. Beta blocker

Correct answer: 3. Verapamil

Explanation: Multifocal atrial tachycardia is encountered in patient of COPD. > 3 different morphologies of P wave. b Blocker c/I in MAT DC shock is ineffective Rx MAT= Verapamil Therapy for MAT is directed at treating the underlying disease and correcting any metabolic abnormalities. Electrical cardioversion is ineffective. The calcium channel blockers verapamil or diltiazem may slow the atrial and ventricular rate. Patients with severe pulmonary disease often do not tolerate beta blocker therapy. MAT may respond to amiodarone, but long-term therapy with this agent is usually avoided due to its toxicities, particularly pulmonary fibrosis.